Unit of one of radiation absorbed is –
1. Grey
2. Roengten
3. Curie
4. Bequerrel

Correct answer: 1. Grey

Explanation: Units of potency

Roentgen and coulomb per kilograme → Units of exposure. It is the amount to which a person is exposed.
Red and Gray  → Units of absorbed dose. It is the amount which is absorbed per gram of tissue.
Rem and Sievert  → Product of the absorbed dose and the modifying factor. Represent the degree of potention danger to health.